True about vibrio vulnificus -
1. Causes diarrhea commonly
2. Halophilic
3. Drag of choice is penicillin
4. Produces shiga toxin

Correct answer: 2. Halophilic

Explanation: Ans. is 'b' i.e., Halophiiic V. Vulnificuso V. vulnificus is a halophiiic vibrio. It has been linked to two distinct syndrome. V. VulnificusPrimary sepsisy Occurs in patients with underlying liver diseasey Occurs due to ingestion of raw oystersy Incubation period - 16 hoursy Begins with malaise, chills, fever and prostrationy 1/3rd cases develop hypotensiony Most patients develop cutaneous manifestation, with lower extremities are involved more commonly than uppery T/t - Fluroquinolone (ciprofloxacin) or minocycline + ceftazidimePrimary wound infectiony Either a fresh or on old woundy Occurs after contact with sea watery Begins with swelling, erythema and intense pain around the woundy Rapidly spreading cellulitis follows with vesicular, bullous or necrotic lesionsy T/t - Antibiotic plus debridmentRemembero Virulence is due to capsule which protects against phagocytosis and the bacteriocidal activity of human serum as well as a cytolysin.o Iron overload increases its virulence, e.g. hemochromatosis.